Draughtsman colonies are seen with:
1. Anthrax
2. Pnuemococci
3. Pertussis
4. Yersenia

Correct answer: 2. Pnuemococci

Explanation: Pnuemococci